Which of the following neuronal pathways are implicated in amyotropic lateral sclerosis?
1. Involves posterior column only
2. Involves lower motor neuron only
3. Involves Raphae nucleus
4. Involves both upper and lower motor neurons

Correct answer: 4. Involves both upper and lower motor neurons

Explanation: Amyotropic lateral sclerosis is the commonest form of progressive motor neuron disease.